Which is not true of Carcinoma tongue-
1. Lateral border is involved
2. Cervical lymph node involvement
3. Commonly adeno carcinoma
4. Tobacco chewing is a risk factor

Correct answer: 3. Commonly adeno carcinoma